Type of collagen in Basement membrane
1. Type I
2. Type II
3. Type III
4. Type IV

Correct answer: 4. Type IV

Explanation: Ref: Harper's Biochemistry; 30th edition; Chapter 50; The Extracellular Matrix